Biological Methods of Treatments in Psychiatry include all except
1. Electroconvulsive therapy
2. Sub-convulsive ECT
3. Psychosurgery
4. Aversion therapy

Correct answer: 4. Aversion therapy

Explanation: (D) Aversion therapy # Biological Methods of Treatments in Psychiatry include:> Older methods (no longer used in clinical practice): Malarial treatment for general paralysis of insane Insulin coma therapy Atropine coma therapy Continuous sleep treatment Sub-convulsive ECT Chemical convulsive therapy Sleep deprivation Mega vitamin therapy; Hallucinogens> Presently Used Biological Methods: Electroconvulsive therapy; Psychosurgery# Psychological Treatments (Psychosocial therapies): Psychoanalysis Psychoanalytical Psychotherapy -- Aversion therapy Transactional analysis Others: Hypnosis; Group therapy; Cognitive therapy; Behaviorism; Classical conditioning; Operant conditioning; Dual sex therapy; Psychodrama; Primal therapy; Rational emotive therapy; Primal therapy; will therapy; Gestalt therapy; Existenlial logotherapy; Reciprocal inhibition; Progressive muscular relaxation; Character analysis; Token economy.